Maxillary sinus epithelium is
1. Squamous
2. Non ciliated columnar
3. Keratinized squamous
4. Ciliated columnar

Correct answer: 4. Ciliated columnar

Explanation: The sinus is lined with mucoperiosteum, with cilia that beat down the ostia. This membrane is referred to as the Schneiderian membrane, which is histologically a bilaminar membrane with ciliated columnar epithelium cells on the internal side and periosteum. Paranasal sinuses are lined by the mucous membrane which is continuous with that of the nasal cavity through the ostia of sinuses. It is thinner and less vascular compared to that of the nasal cavity. Histologically, it is ciliated columnar epithelium with goblet cells which secretes mucus. Cilia is more marked near ostia of the sinuses and help in drainage of mucus into the nasal cavity. (Ref: Diseases of ENT, PL. Dhingra, 7t edition, pg no. 188)